A neonate with left to Right shunt & high cardiac output heart failure. CT Angiography of the neonate is shown. What is the diagnosis?
1. Sagittal venous thrombosis
2. Vein of Galen malformation
3. Intracranial hemorrhage
4. Arnold-Chiari malformation

Correct answer: 2. Vein of Galen malformation

Explanation: b. Vein of Galen malformationCT angiography shows enhancing rounded lesion at tentorial apex, extending posteriorly & draining into dilated superior sagittal sinus, through dilated straight sinus, suggestive of vein of Galen malformation.The anomaly is actually due to a cerebral arteriovenous fistula of the median prosencephalic vein (a precursor of the vein of Galen) occurring at 6-11 weeks gestation.